Rice protein is deficient in ?
1. Methionine
2. Cysteine
3. Lysine
4. Tryptophon

Correct answer: 3. Lysine

Explanation: Ans. is c. i.e., Lysine "A rice diet is deficient in lysine and theronine"